Cough reflex on scratching the floor of external auditory meatus is due to which nerve?
1. Auricular branch of vagus
2. Auriculo temporal
3. Greater auricular nerve
4. Facial nerve

Correct answer: 1. Auricular branch of vagus

Explanation: Nerve Supply of External acoustic meatus Anterior wall and roof by auriculotemporal nerve Posterior wall and floor by auricular branch of vagus nerve (Arnold N) Posterior wall of auditory canal also receives innervations by facial nerve through auricular branch of vagus Cough reflex is d/t internal laryngeal N. Cough's reflex during syringing is d/t Arnold's Nerve